Increased calories required during pregnancy is (in kcal/ day):
1. 350
2. 550
3. 600
4. 800

Correct answer: 1. 350

Explanation: Ans. A i.e. 350